Recommended illumination suggested by Illuminating Engineer Society for general office work:
1. 100 lux
2. 400 lux
3. 900 lux
4. 2500 lux

Correct answer: 2. 400 lux

Explanation: Visual task Illumination (lux) Casual reading 100 General office work 400 Fine assembly 900 Watch making 2500 Ref: Park 21st edition, page 684. Chapter: Environment and health.